Sodium 2–mercapto ethane sulfonate is used as a protective agent in:
1. Radiotherapy
2. Cancer chemotherapy
3. Lithotripsy
4. Hepatic encephalopathy

Correct answer: 2. Cancer chemotherapy

Explanation: Sodium-2-mercapto ethane sulfonic acid (mesna) is used to ameliorate hemorrhagic cystitis caused by cyclophosphamide and ifosfamide.